All the following are causes of Transdative pleural effusion Except
1. Nephrotic syndrome
2. Rheumatoid arthritis
3. Myxedema
4. Constrictive pericarditis

Correct answer: 2. Rheumatoid arthritis

Explanation: TABLE 316-1 Differential Diagnoses of PleuralEffusions Transudative Pleural Effusions 1. Congestive heart failure 2. Cirrhosis 3. Nephrotic syndrome 4. Peritoneal dialysis 5. Superior vena cava obstruction 6. Myxedema 7. Urinothorax Ref Harrison 19th edition pg 1719